Progressive dysphagia initially for solids and later for liquids is the hallmark feature of carcinoma of:
1. Oropharynx
2. Hypopharynx
3. Nasopharynx
4. All

Correct answer: 2. Hypopharynx

Explanation: Progressive dysphagia initially for solids and later for liquids is the hallmark feature of carcinoma of hypopharynx and cervical esophagus. Hypopharynx lesions usually presents with sore throat, hoarseness, otalgia and foreign body sensation. Classic causes of Intermittent dysphagia are diffuse esophageal spasm and schatzki ring.